Major complication of cysto gastrostomy for pseudo paancreatic cyst is-
1. Infection
2. Obstruction
3. Fistula
4. Haemorrhage

Correct answer: 4. Haemorrhage